Occurs in which of the following condition Eosinopenia
1. Asthma
2. Hooworm infertation
3. Chronic mycloid leukemia
4. Custing disease

Correct answer: 4. Custing disease

Explanation: Solution:
Due to high levels of cortisol in Custing disease cosinopenia occurs.